The following is true about Mycoplasma except
1. Multiply by binary fission
2. Are sensitive to beta-lactam group of drugs
3. Can grow in cell free media
4. Requires sterols for their growth

Correct answer: 2. Are sensitive to beta-lactam group of drugs

Explanation: Ans. (b) Are sensitive to beta-lactam group of drugs Note: Doxycycline is drug of choice for mycoplasma.